'Nodding face sign' is seen in
1. Fracture of anterior cranial fossa
2. Fracture of middle cranial fossa
3. Hinge fracture
4. Orbital blow out fractures

Correct answer: 3. Hinge fracture

Explanation: Hinge/Transverse fracture: Transverse fracture of the base of the skull occurs on middle that completely splits it into two halves, creating hinge (nodding face sign) .This may result from an impact on either side of head or side to side compression of head as in run over by vehicle. Ref: FORENSIC MEDICINE AND TOXICOLOGY Dr PC IGNATIUS THIRD EDITION PAGE 165